In percutaneous endoscopic gastrostomy (PEG), which of the following is not used?
1. Push technique
2. Pull technique
3. Retraction method
4. Introducer technique

Correct answer: 3. Retraction method

Explanation: Ans. (c) Retraction methodRef: Bailey 26th Edition Page 267There are three methods of putting PEG tube* Direct Stab technique (Introducer technique)* Push through technique!* Pull TechniqueThere is no retraction technique